Lower motor neuron signs are all EXCEPT:
1. Normal reflexes
2. Flaccid type of paralysis
3. Fasciculations
4. Wastage of muscle

Correct answer: 1. Normal reflexes

Explanation: (Normal reflexes): Ref: 134-H, 685- SL (148-H17th) (862-CMDT-09)SignUpper motor neuronLower motor neuron* Muscle atrophy* Fasciculations* Tone* Distribution of weakness* Tendon reflexes* Babinski's sign* Superficial reflexes* Clonus* Electrical activity* Muscle affected* Fascicular twitch in EMGNoneNoneSpastic (hypertonia)Pyramidal/regionalHyperactivePresentLostPresentNormalGroup of muscles are affectedAbsentSevereCommonFlaccid type (Hypotonia)Distal/SegmentalHypoactive/absentAbsentLostAbsentAbsentIndividual muscles are affectedPresent